Schistocyte is/are found in -
1. TTP
2. DIC
3. both option 1 and option 2
4. March hemoglobinuria

Correct answer: 3. both option 1 and option 2

Explanation: In microangiopathic hemolytic anemias most commonly seen with DIC ,TTP,HUS,SLE,due to microvascular lesions causing luminal narrowing,produces shear stress on RBCs causing hemolysis.Regardless of the cause ,traumatic damage leads to appearance of red cell fragments(schistocytes), burr cells, helmet cells, and triangle cells in blood smears. Schistocytes are fragmented red blood cells that can take on different shapes. They can be found as triangular, helmet shaped, or comma shaped with pointed edges. Schistocytes are most often found to be microcytic with no area of central pallor. ref: Robbins pathologic basis of diseases ;8th edition ; pg :654